Most common dislocation of hip is:
1. Anterior
2. Posterior
3. Poster lateral
4. Central

Correct answer: 2. Posterior

Explanation: Ans: b (Posterior) Ref: Maheswari, 4th ed, p. IIIThere are 3 main types of dislocations of hip of which posterior dislocation is the commonest.Posterior dislocation of hip complications are:1. Injury to sciatic nerve (All India repeat)2. Avascular necrosis- femoral head3. Osteoarthritis4. Myositis ossificansTypes of hip dislocation are:a) Posterior dislocation (Dash board injuiy)b) Anterior dislocationc) Central dislocation